Narrow therapeutic index is seen with:
1. Desipramine
2. Lithium
3. Penicillin
4. Diazepam

Correct answer: 2. Lithium

Explanation: Ans. B. LithiumDrugs with narrow therapeutic Index: digoxin, theophylline, lidocaine, cyclosporine, clonidine, anticonvulsant (Phenytoin), TCA (imipramine), aminoglycosides, glipizide (not metformin)